Which of the following is not present in dhatura?
1. Hyoscine
2. D. Hyoscyamine
3. Muscarine
4. Atropine

Correct answer: 3. Muscarine

Explanation: Ref: The Essentials of Forensic Medicine and Toxicology by KS Narayan Reddy. 29th edition. 2010.Explanation:Datura PoisoningDatura contain alkaloids such as Hyoscine (scopolamine), hyoscyamine. and atropine.Datura poisoning symptoms are essentially due to atropine poisoning.The classical description of clinical features in datura poisoning is:Dry as a hone - dryness of mouth and throatRed as a heat - Flushing of faceBlind as a hat - Dilated pupils, sluggish light and accommodation reflexHot as a hare - Raised body temperatureMad as a wet hen - Delirium with gait disturbances.Symptoms of Datura poisoningDryness of mouth and ThroatFlushing of faceDilated pupilsSluggish light and accommodation reflexRaised body temperatureDeliriumGait disturbancesSlurred SpeechDysphagiaDrowsiness- Most of these features are also seen in Alchohol intoxication, (like drowsiness, irrelevant speech, dilated pupils, staggering gait and slurred speech):- Differentiating features are hot skin and dry mouth and lack of alcohol smell in breath.TreatmentGastric lavage and the administration of activated charcoal can be used to reduce the stomach's absorption of the ingested material.The drug physostigniine is used to reverse the effect.Benzodiazepines to decrease patient's agitation, and supportive care with oxygen, hydration, and symptomatic treatment.Muscarine is a natural product found in certain mushrooms, particularly in lnocybe and Clitocybe species.